Graft versus Host reaction is caused by -
1. B-Lymphocytes
2. T-Lymphocytes
3. Macrophages
4. Complement

Correct answer: 2. T-Lymphocytes

Explanation: The graft mounts an immune response against the antigens of the host is called graft-versus-host reaction. The immunocompetent T cells of the graft are responsible for this reaction. The recipient possesses transplantation antigens that are absent in the graft. Reference:athanarayan & paniker's 9th edition, pg no: 186